'A' pattern squint is due to which muscle
1. Superior rectus
2. Inferior rectus
3. Superior oblique
4. Inferior oblique

Correct answer: 3. Superior oblique

Explanation: A pattern squint - superior oblique.
V pattern squint - inferior oblique.